Alveolar bone proper is also known as:
(or)
Alveolar bone proper is seen as lamina dura in an
IOPA radiograph
1. Lamina lucida
2. Lamina densa
3. Lamina propria
4. Lamina dura

Correct answer: 4. Lamina dura